according to baskets classification of hemorhagic shock , a patient with decreased blood pressure , decreased urine output and decreased circulatory volume of 30-40% is managed by ?
1. crytalloids infusion
2. plasma therapy
3. crystalloids+blood transfusion
4. blood transfusion alone

Correct answer: 3. crystalloids+blood transfusion

Explanation: this is class 3 of baskets hemorrhagic classification which ned to be treated with both blood transfusion and crystalloid management . class 1& 2 are treated with crystalloids . class 3 & 4 are treated with blood transfusion and crystalloids ref : bailey and love 27th ed